A woman presents with foul smelling discharge with sharply demarcated ulcers without induration on perineum and labia majora. Inguinal lymphadenopathy is also present. What is the most probable diagnosis?
1. Gonorrhoea
2. Tuberculosis
3. Chancroid
4. Syphilis

Correct answer: 3. Chancroid

Explanation: Ulcer without induration (soft chancre) and inguinal lymphadenopathy is suggestive of chancroid caused by Hemophilus.ducreyi